Pulmonary fibrosis is seen with(REPEAT)
1. Bleomycin
2. Cisplatin
3. Methotrexate
4. Actinomycin D

Correct answer: 1. Bleomycin

Explanation: Reference Katzung 11/e p953 Bleomycin is a marrow sparing drug But it causes pulmonary fibrosis and skin toxicity Another antineoplastic drug causing pulmonary fibrosis is busulfan